Etiology of bloody discharge from nipple -
1. Duct papiloma
2. Breast abscess
3. Fibroadenoma
4. Cyst

Correct answer: 1. Duct papiloma

Explanation: Ans. is 'a' i.e., Duct papiloma